The likely diagnosis in a child with limb pain and pancytopenia is -
1. Aplastic anaemia
2. Acute lymphocytic leukaemia
3. Rheumatic fever
4. Rheumatoid arthritis

Correct answer: 2. Acute lymphocytic leukaemia

Explanation: Ans. is 'b' i.e., Acute lymphocytic leukaemia